True about Wegener's granulomatosis is
1. Large vessel vasculitis
2. Granulomas in GBM
3. Nephrosclerosis
4. Focal necrotizing GN

Correct answer: 4. Focal necrotizing GN

Explanation: Triad of WG: a. Acute necrotizing granulomas of respiratory tract b. Necrotizing or granulomatous vasculitis of small to medium-sized vessels c. Focal necrotizing often crescentic GN